A lady presents with complaints of hemoptysis.Her chest X-ray appears to be normal. What is the next best investigation -
1. Bronchoscopy
2. High resolution CT
3. Sputum cytology
4. Pulmonary function test

Correct answer: 2. High resolution CT